A 35 years old lactating mother presnted with a painful breast lump. Out of the following, which is the first investigation to be doner ?
1. Mammography
2. USG
3. MRI
4. X-ray

Correct answer: 2. USG

Explanation: in case of pregnancy and lactation,the preferred method employed for the diagnosis of carcinoma breast includes USG,it is more preferred over mammography due to lesser radiation exposure. ref:SRB's manual of surgery,ed 3,pg no 480